Scales used for assessing socio-economic status of populations are all except
1. Modified Udai pareek scale
2. Modified Kuppuswamy scale
3. Likert scale
4. BG Prasad scale

Correct answer: 3. Likert scale

Explanation: LIKERT SCALE: A psychometric response scale primarily used in questionnaires to obtain participant's preferences or set of statements. Likert scales are a non-comparative scaling technique and are unidimensional (only measure a single trait) in nature. Respondents are asked to indicate their level of agreement with a given statement by way of an ordinal scale. Ref: Park 23rd edition Pgno: 689